All of the following are inhibitors of cytochrome oxidase, except:
1. Carbon monoxide
2. Amytal
3. Cyanide
4. Azide

Correct answer: 2. Amytal

Explanation: Ans. Amytal